In mass causality cases, the mechanism to sort out patient is?
1. Treating first patients with life threatening conditions
2. Treating patients with higher chances of survival with least available infrastructure
3. Treating patients with multiple organ failure & that need equipment and mobility
4. None

Correct answer: 2. Treating patients with higher chances of survival with least available infrastructure